A 30-year-old female complaints of fatigue and is unable to gain weight. On examination, her body felt warm. Which of the following investigation can be helpful in reaching the diagnosis?
1. High TSH with normal T3, T4
2. Low TSH with high T3, T4
3. High TSH with euthyroid status
4. Increased uptake of T3, decreased level of T4

Correct answer: 2. Low TSH with high T3, T4

Explanation: On the basis of above clinical scenario patient is suffering fromprimary Hyperthyroidism. Primary Hyperthyroidism CLINICAL FEATURES: Sympathomimetic stimulation : Palpitations - beta1 activation Fine Tremors - beta 2 activation Sweat on palms/soles Hypertension - alpha1 activation 2. BMR | -Weight loss 3. Calorigenesis | - Heat intolerance 4. Females - Oligomenorrhea / Infertility 5. Proptosis - Blinking action is inadequate - Drying of cornea - Exposure Keratitis - Grittiness / sand like sensation in eye. Work-UP: Thyroid Function Tests - Total T4 & T3- |, Free T4, T3 -| TSH: - If low - Primary hyperthyroidism Further investigations are: LATS titre Thyroid scan USG Abdomen - If high - Secondary hyperthyroidism - pituitary adenoma - Dx MRI head